Which of the following is not a typical feature of malignant otitis externa?
1. Caused by Pseudomonas aeruginosa
2. Patients are usually old
3. Mitotic figures are high
4. Patient is immune compromised

Correct answer: 3. Mitotic figures are high

Explanation: Malignant otitis externa is not a neoplastic disease. The term malignant is used because of the severity of disease which can cause several complications including multiple cranial nerve palsies. Malignant otitis externa is an infective process caused mostly by P aeruginosa. It affects elderly diabetics or those with immunocompromised status.